Normal Apgar score in a neonate with acidosis is associated with _____
1. Spinal cord trauma
2. Choanal atresia
3. Diaphragmatic hernia
4. High fetal catecholamines

Correct answer: 4. High fetal catecholamines

Explanation: Normal APGAR score in a neonate with acidosis is associated with High fetal catecholamine level. High catecholamines in the baby increases all components of the APGAR score except for the skin color. Hence, the resulting high scores indicate that the baby is normal when infact it has an underlying abnormality. This results in a false-negative APGAR score(i.e., it was supposed to be low, but falsely high making the neonate appear normal in the presence of acidosis) Neonatal acidosis indicates a compromised gas exchange between maternal and fetal compartment during labor. Normal APGAR score with acidosis is seen in: High fetal catecholamine levels Maternal acidosis Some full-term infants Low APGAR without acidosis Prematurity Drugs: Analgesics, narcotics, sedatives, magnesium sulfate Acute cerebral edema Spinal cord trauma Diaphragmatic hernia Choanal atresia Congenital pneumonia and sepsis Hemorrhage/Hypovolemia Ref: Nelson textbook of pediatrics 21st edition Pgno: 872